Virulence of a biological agent is defined as ?
1. Ability of the agent to invade and multiply in host
2. Proportion of clinical cases resulting in severe clinical manifestation
3. Ability of the agent to induce a clinically apparent illness
4. Proportion of clinical cases in a virgin population

Correct answer: 2. Proportion of clinical cases resulting in severe clinical manifestation

Explanation: Ans. is 'b' i.e., Proportion of clinical cases resulting in severe clinical manifestation o Pathogenicity --> Ability of a microorganism to cause a disease. o Virulence --> Virulence is degree of pathogenicity. It is indicated as fatality rates or ability to invade a host tissue and cause severe disease. o For example, Pseudomonas is pathogenic to human (Produces disease in human). However, Some strains are less virulent (Produce less severe disease) while some strains are more virulent (Produce more severe disease).